Vitreous hemorrhage in young patient is commonly due to:
1. Diabetes
2. Retinal tears
3. Trauma
4. Retinal vasculitis

Correct answer: 3. Trauma

Explanation: Ans. C: Trauma Trauma is the commonest cause of vitreous hemorrhage in the young